A 25-year old farmer presented with history of high grade fever for 7 days and altered sensorium for 2 days. On examination, he was comatosed and had conjunctival hemorrhage. Urgent investigations showed a hemoglobin of 11 gm/dl, serum bilirubin 8 mg/dl and urea 78 mg/d1. Peripheral blood smear was negative for malarial parasite. What is the most likely diagnosis -
1. Brucellosis
2. Weil's disease
3. Acute viral hepatitis
4. Q fever

Correct answer: 2. Weil's disease

Explanation: Ans. is 'b' i.e., Weil's disease . High grade fever, altered sensorium, sign of hemorrhagic diathesis (conjuctival hemorrhage) along with raised BUN and serum bilirubin are suggestive of Weil's disease.